All are factors of poor wound healing except -
1. Young age
2. Infection
3. Zinc deficiency
4. Vitamin D deficiency

Correct answer: 1. Young age

Explanation: Answer- A. Young ageSystemic factorsPoor nutrition (protein deficiency, vitamin C deficiency)Metabolic abnormalities (Diabetes mellitus).Poor circulatory status (Inadequate blood supply)Hormones, e.g. glucocoicoidsB. Local factorsInfection is the single most important factor.Mechanical factors, e.g. early mobilization.Foreign bodies (unnecessary sutures, fragments of steel or glass).Wound in poorly vaculatized area, e.g. foot.